Which of the following is the cause of amenorrhoea in a lactating mother:
1. Increased release of LH
2. Increased GnRH secretion
3. Hyperestrogenic state
4. Increased prolactin level

Correct answer: 4. Increased prolactin level

Explanation: Ans. (d) Increased prolactin levelRef.: D.C. Dutta 8th ed. /171, 614; 6th/148Breast feeding increases the levels of prolactin which lead to the following consequences:* Reduced ovarian response to FSH leading to hypo- estrogenic stateQ* Suppression of LH release thereby preventing LH surge and inhibiting ovulationQ* Reduces GnRH secretion